Disinfection of the rooms can be done by using
1. 20% phenol
2. High efficiency particle arrestors
3. 40% formaldehyde vapour
4. Chlorine gas

Correct answer: 3. 40% formaldehyde vapour